Smell of bitter almonds is seen in poisoning with:
1. Phosphorus
2. Hydrocyanic acid
3. Nitric acid
4. Oxalic acid

Correct answer: 2. Hydrocyanic acid

Explanation: Smell about mouth & Nose- 1) Garlic-like- Phosphorus, Arsenic, Organophosphates Thallium, Selenium, Dimethylsulphoxide. 2) Sweetish or fruity- Ethanol, Chloroform, Nitrites. 3) Acrid (pear like)- Paraldehyde, Chloral hydrate. 4) Rotten eggs- Hydrogen Sulphide, Mercaptans, Disulfiram. 5) Fishy or musty- Zn Phosphide, Aluminium phosphide 6) Bitter almonds- Cyanides, HCN 7) Shoe polish- Nitrobenzene 8) Burnt rope- Marijuana (Cannabis) 9) Vinegar: Acetic acid